Which of the following statements is TRUE regarding ARBO viruses:
1. Yellow fever is endemic in India
2. Dengue virus has only one serotype
3. Kyasanur Forest Disease (KFD) is transmitted by ticks
4. Mosquito of culex vishnoi-complex is the vector of Dengue fever

Correct answer: 3. Kyasanur Forest Disease (KFD) is transmitted by ticks

Explanation: Kyanasur forest disease belongs to the family of flaviviruses. Monkeys and small mammals are affected first. It is transmitted to humans by forest ticks or by direct contact with infected animals. Incubation period is 2-7days. Patients presents with fever, headache, arthralgia, nausea and diarrhea. Sometimes haemorrhages and acute hepatitis with elevated transaminases occur. Diagnosis is made by serology and RTPCR. Ref: Hepatology: Textbook and Atlas : History, Morphology, Biochemistry By Erwin Kuntz, 3rd Edition, Page 479 ; Textbook of Microbiology & Immunology By Parija, Page 557